All are risk factors for preterm delivery except
1. Absence of fetal fibronectin at < 37 weeks
2. Previous history of preterm baby
3. Asymptomatic cervical dilatation
4. Chylamydial infection of genital tract

Correct answer: 1. Absence of fetal fibronectin at < 37 weeks

Explanation: Fetal fibronectin is a fetal glycoprotein that is expressed in the first half of pregnancy. After 20 weeks it is not normally detectable until membranes rupture. So its absence has been associated with a low risk of preterm delivery,whereas other 3 are obvious risk factors for preterm labour. (TB of OBG Sheila 2nd edtn pg 192,193)